The standard normal distribution-
1. It skewed to the left
2. Has mean - 1.0
3. Has standard deviation = 0.0
4. Has mean = 0

Correct answer: 4. Has mean = 0

Explanation: Ref:Parks 23rd edition pg 849 Stadardised normal curve : Smooth, bell-shaped, perfectly symmetrical curve based on an infinitely large number of observations . Total area of the curve= 1 Mean= 0 Standard deviation = 1 Mean, median and mode all coincide.